All are true regarding idiopathic edema of women except -
1. It is due in estrogen mediated sodium retention
2. It is not related to menstrual cycles
3. There is increased water retention in upright position
4. ACE inhibitors can be useful in some cases

Correct answer: 1. It is due in estrogen mediated sodium retention

Explanation: Idiopathic edema is a common cause of fluid retention and swelling (edema) in women. "Idiopathic" means that the cause of this condition is unknown. Idiopathic edema occurs in the absence of heart, kidney, or liver disease. It is often associated with diabetes, obesity, and emotional problems. The edema may develop periodically or it may persist over time. Swelling of the face, hands, and legs can develop rapidly, and affected individuals typically experience significant changes in their weight over the course of a day. Treatment often includes a low sodium and carbohydrate diet as well as cessation of diuretic therapy if needed . ref -